All are the contents of spermatic cord except?
1. Ductus deferens
2. Testicular artery
3. Pampiniform plexus of veins
4. Ilioinguinal nerve

Correct answer: 4. Ilioinguinal nerve

Explanation: Contents are 3 arteries:Cremastric artery, artery to Ductus deferens, Testicular artery 3 nerves- Genitofemoral Nerve, Autonomic and Visceral Afferent Nerves (Ilioinguinal n. is outside the spermatic cord) 3 other structures Pampiniform Plexus, Vas Deferens and Lymphatics